Which of the following is the meaning of 'Corpus delicti' in forensic medicine?
1. Essence of crime
2. Inquest into death
3. Postmortem examination
4. Death by asphyxia

Correct answer: 1. Essence of crime

Explanation: The Corpus delicti (the body of offence or the essence of crime) means, the facts of any criminal offence, i.e., murder. The main part of corpus delicti is the establishment of identity of the dead body, and identification of violence in a particular way, at a particular time and place, by the person or persons charged with a crime and none other. Ref: Essentials of Forensic Medicine and Toxicology by K S Narayan Reddy, 27th edition, Page 52.